Essential criteria for major depression are all except -
1. Delusion of grandeur
2. Loss of pleasure
3. Insomnia
4. Hypersomnia

Correct answer: 1. Delusion of grandeur

Explanation: Ans. A. Delusion of grandeurDiagnostic criteria for major depression5 or more of the following symptoms should be present most of the day for at least 2 weeks: -Depressed moodLoss of interest or pleasure in all activities.Decrease/increase appetite or loss/gain of weight.Insomnia or hypersomnia (Increased or decreased sleep).Psychomotor retardation or agitation (decreased or increased psychomotor activity).Fatigue or loss of energy (weakness or lethargy).Feelings of worthlessness or excessive guilt.Diminished concentrationRecurrent thoughts of death or recurrent suicidal ideation or suicidal attempt.